Open Vial Policy apply to which vaccine
1. Measles
2. BCG
3. Japanese encephalitis vaccine
4. Hepatitis B

Correct answer: 4. Hepatitis B

Explanation: The WHO multi-dose vial policy states that vials of liquid DTP, TT, HepB and OPV opened in a fixed clinic may be used at more than one immunization session provided that: A) The expiry date has not passed. B) The vaccines are stored under appropriate cold chain conditionsPark pg no: 117